Mast cell stabilizer used in ronchial Asthma is
1. Raloxifene
2. Ketotifen
3. Azelastin
4. Baclofen

Correct answer: 2. Ketotifen